Urine LAM is used for diagnosis of?
1. Mycobacterium tuberculosis
2. Mycobacterium leprae
3. Mycoplasma Pneumoniae
4. Listeria monocytogenes

Correct answer: 1. Mycobacterium tuberculosis

Explanation: Urine LAM (Lipoarabinomannan) is used for diagnosis of Mycobacterium tuberculosis Mycobacterium leprae-split skin smear Mycoplasma pneumonia- can be detected by urine test but we use different antigen for it Listeria monocytogenes- causes meningitis in children, so we use CSF